Traveller's diarrhoea is caused by-
1. Shigella
2. E. Coli
3. E. histolytica
4. Giardiasis

Correct answer: 2. E. Coli